Niacin is dangerous in diabetes mellitus because:
1. It causes insulin resistance
2. It causes sudden hypoglycemia
3. It decreases glucagon secretion
4. It decreases effect of other OHA

Correct answer: 1. It causes insulin resistance

Explanation: Ans. a. It causes insulin resistanceRef: Goodman Gilman 12th e/P 900Niacin causes insulin resistance and hence causes severe hyperglycemia in patients of diabetes mellitus.Hence it should be avoided in patients of diabetes mellitus.